The gene involved in GIST -
1. C-KIT
2. BRAC-1
3. p53
4. BRAC-2

Correct answer: 1. C-KIT

Explanation: Ans. is 'a' i.e., C-KIT Pathogenesis of GISTs o Approximately 75% to 80% of all GISTs have oncogenic, gain-of-function mutations of gene encoding the tyrosine kinase c-KIT o Approximately 8% of GISTs have mutations that activate a related tyrosine kinase, platelet derived growth factor receptor a (PDGFRA). o Consitutively active c-KIT or PDGFRA receptor tyrosine kinases activate RAS and P13K/AKT pathways and thereby promote tumor cell proliferation.